Sub lingual gland is situated between:
1. Hyoglossus and genioglossus
2. Hyoglossus and styloglossus
3. Genioglossus and mandible
4. Geniohyoid and genioglossus

Correct answer: 3. Genioglossus and mandible

Explanation: Sublingual fossa is a shallow area above the anterior part of the mylohyoid line and lodges sublingual gland.
SUBLINGUAL GLAND
This is smallest of the three pairs of large salivary glands. It lies in the floor of the mouth between the mucus membrane and the mylohyoid muscle. It is almond shaped and rests in the sublingual fossa of the mandible. It is separated from the base of the tongue by the submandibular duct. It is mostly mucus in nature and weighs about 3–4g.